All of the following is true except -
1. NADPH oxidase acts superoxide ions
2. Chediak-Higashi syndrome is due to defective phagolysosome formation
3. In Brutons agammaglobulinemia opsonisation is not elected
4. Myeloperodixase action is mainly due to OCI

Correct answer: 3. In Brutons agammaglobulinemia opsonisation is not elected

Explanation: NADPH oxidase (nicotinamide adenine dinucleotide phosphate oxidase) is a membrane-bound enzyme complex that faces the extracellular space Chediak-Higashi syndrome (CHS) is a rare, inherited, complex, immunedisorder that usually occurs in childhood characterized by reduced pigment in the skin and eyes (oculocutaneous albinism), immune deficiency with an increased susceptibility to infections, and a tendency to bruise and bleed easily. Myeloperoxidase (MPO) is a peroxidase enzyme that in humans is encoded by the MPO gene on chromosome 17. MPO is most abundantly expressed in neutrophil granulocytes (a subtype of white blood cells), and produces hypohalous acids to carry out their antimicrobial activity.